Which of the following is a reservoir for measles
1. Man
2. Soil
3. Fomites
4. Monkey

Correct answer: 1. Man

Explanation: - Measles occurs only in humans. There is no animal reservoir of infection.The challenges of measles elimination include:1) weak immunization systems2) high infectious rate of measles3) Conflict regions4) refusal of immunization by some populations5) Changing epidemiology of measles (increased transmission among adolescents and adults) 6) Need to provide catch-up measles vaccination7) gaps in human and financial resources park 23e pg: 146